Untrue about articular cartilage is
1. Overs the articular surfaces of all synovial joints
2. Is of hyaline variety in all synovial joints
3. No ossification with age
4. Is devoid of nerves, vessels and perichondrium

Correct answer: 2. Is of hyaline variety in all synovial joints

Explanation: In synovial joints (like temporomandibular and sterno-clavicular) the articular surfaces are lined by fibro-cartilage instead of hyaline cartilage.
Hyaline cartilage loses the tendency to ossify with age as it takes the role of articular cartilage
Hyaline cartilage also loses the perichondrium, as it becomes articular cartilage